Threshold for moderate hearing loss -
1. 26-40 dB
2. 0-25dB
3. 41-55 dB
4. None

Correct answer: 3. 41-55 dB

Explanation: Ans. is 'c' i.e., 41-55 dB o WHO recommended the following classification on the basis of pure tone audiogram.Hearing threshold in better ear (average of 500,1000,2000Hz)Degree of impairment (WHO classification)Ability'to understand speech0-25Not significantNo significant difficulty' with faint speech26-40MildDifficulty' with faint speech.41-55ModerateFrequent difficulty with normal speech.56-70Moderately severeFrequent difficulty' even with loud speech71-91SevereCan understand only shouted or amplified speechAbove 91ProfoundUsually cannot understand even amplified speech